A 30 yr old female with whose blood routine showed RBC count of 4.5 million, MCV 55fl and TLC 8000. There is no history of blood transfusion. What is your diagnois?
1. Iron deficiency anemia
2. Thalessemia major
3. Thalessemia minor
4. Megaloblastic anemia

Correct answer: 3. Thalessemia minor

Explanation: . Thalessemia minor